Which of the following stage of tooth formation is characterized by the commencement of mineralization and root formation:
1. Bud stage.
2. Cap stage.
3. Bell stage.
4. Advanced bell stage.

Correct answer: 4. Advanced bell stage.

Explanation: Mineralization and root formation is the characteristic feature of Advanced bell stage.